True about HSP -a) Palpable purpurab) Kidneys commonly affectedc) C-ANCA positived) Thrombocytopenia
1. ac
2. a
3. ad
4. ab

Correct answer: 4. ab